Commonest late complication of traumatic rupture of urethra is -
1. Diverticulum
2. Retrograde ejaculation
3. Stricture
4. Chordee

Correct answer: 3. Stricture